Which is not an osteoplasty technique:
1. Vertical grooving.
2. Radicular blending.
3. Gradualizing marginal bone.
4. None.

Correct answer: 3. Gradualizing marginal bone.

Explanation: Steps in osseous respective surgery
Vertical grooving and Radicular blending → Osteoplasty techniques flatting of interproximal bone and gradualizing marginal bone → Osteotomy